A white female client is admitted to an acute care facility with a diagnosis of cerebrovascular accident (CVA). Her history reveals bronchial asthma, exogenous obesity, and iron deficiency anemia. Which history finding is a risk factor for CVA?
1. Caucasian race
2. Female sex
3. Obesity
4. Bronchial asthma

Correct answer: 3. Obesity

Explanation: Obesity is a risk factor for CVA. Other risk factors include a history of ischemic episodes, cardiovascular disease, diabetes mellitus, atherosclerosis of the cranial vessels, hypertension, polycythemia, smoking, hypercholesterolemia, oral contraceptive use, emotional stress, family history of CVA, and advancing age.

Options A, B, and D: The client’s race, sex, and bronchial asthma aren’t a risk factors for CVA.